Pleomorphic rash is a feature of –
1. Chicken pox
2. Small pox
3. Erythema infectiosum
4. Erythema subitum

Correct answer: 1. Chicken pox